NADPH is used in:
1. Fatty acid synthesis
2. Ketone synthesis
3. Gluconeogenesis
4. Glycolysis

Correct answer: 1. Fatty acid synthesis

Explanation: A i.e. Fatty acid synthesis